Not true about viral envelop?
1. Lipid is derived from host cells
2. Protein is derived from virus itself
3. Dissolves in solvent
4. Propagates in next generation

Correct answer: 4. Propagates in next generation

Explanation: Ans. is 'd' i.e., Propagates in next generation Envelope is lipoprotein in nature, lipid is derived from host cell, while protein is virus coded. Enveloped viruses are susceptible to the action of lipid solvents like ether, chloroform and bile salts. Envelop is not propagated in next generation. Rather progeny virions synthesize new envelop (by self protein and host lipid).